The source of apo-E and apo C-II for the chylomicrons is:
1. VLDL
2. IDL
3. LDL
4. HDL

Correct answer: 4. HDL

Explanation: Newly secreted or "nascent" chylomicrons and ApoB-48 apolipoprotein. HDL acts as a reservoir of lipoproteins and provide ApoE and ApoC to nascent chylomicrons to form mature chylomicrons.